A lesion with sharp outlines extending above the clavicles suggests?
1. Anterior mediastinal lesion
2. Posterior mediastinal lesion
3. Cardiac lesion
4. All of the above

Correct answer: 2. Posterior mediastinal lesion

Explanation: Ans BThe anterior mediastinum ends below the clavicle while the apical lobes of upper lung lobes extend superior to the clavicles more posteriorly hence if a mass lies in the posterior mediastinum its margins would be lined by air filled lungs and hence seen as sharp margins. This is an extension of the Silhouette sign - the Cervico-thoracic sign.